Cushing syndrome as paraneoplastic syndrome is seen with all malignancies, EXCEPT:
1. Bronchial carcinoid
2. Thymus
3. Medullary carcinoma thyroid
4. Papillary carcinoma thyroid

Correct answer: 4. Papillary carcinoma thyroid

Explanation: Paraneoplastic Syndrome Ectopic Hormone Typical Tumor Hypercalcemia of malignancy Parathyroid hormone-related protein Squamous cell (head and neck, lung, skin), breast, genitourinary, gastrointestinal 1,25 dihydroxyvitamin D Lymphomas Parathyroid hormone Lung, ovary Prostaglandin E2 (PGE2) Renal, lung Syndrome of inappropriate antidiuretic hormone secretion Vasopressin Lung, gastrointestinal, genitourinary, ovary Cushing's syndrome Adrenocorticotropic hormone (ACTH) Lung (small cell, bronchial carcinoid, adenocarcinoma, squamous), thymus, pancreatic islet, medullary thyroid carcinoma Ref: Harrison, E-18, P-827